Which of the following is the most common complication of heart failure?
1. Hydrothorax
2. Pneumothorax
3. Pyothorax
4. Hemothorax

Correct answer: 1. Hydrothorax

Explanation: The elevation of hydrostatic pressure in congestive heart failure causes transudation of fluid into the pleural cavity and, therefore, hydrothorax.